Hypercalcemia is seen in all except -
1. Milk alkali syndrome
2. Hyperparathyroidism
3. VitaminA deficiency
4. Vitamin D intoxication

Correct answer: 3. VitaminA deficiency

Explanation: Milk-alkali syndrome (MAS) consists of hypercalcemia, various degrees of renal failure, and metabolic alkalosis due to ingestion of large amounts of calcium and absorbable alkali. ... Physicians and the public need to be aware of the potential adverse effects of ingesting excessive amounts of calcium carbonate. and hypercalcemia is seen in hyperparathyroidism , vitamin D toxicity Ref Davidson 23rd edition pg 263